Rapid cycling is associated with which illness:
1. Substance abuse
2. Schizophrenia
3. Bipolar Disorder
4. Panic disorder

Correct answer: 3. Bipolar Disorder

Explanation: Ans. C. Bipolar disorderBipolar disorder involves extremes of both high and low moods and a range of other symptoms. In rapid cycling, moods change quickly, with at least 4 distinct mood episodes per year.